A 34-year-old man presents to the emergency room with increasing shortness of breath. He has a past medical history of asthma that is previously well controlled but 2 weeks ago he developed a "cold" and has noticed increased coughing and shortness of breath ever since. He reports no fevers, chills, or sputum production. He is now using his salbutamol inhaler for rescue therapy 6 times a day and feels unwell. His physical examination is normal except for wheezing on expiration. A CXR is normal and he is prescribed prednisone 30 mg once a day for one week. Which of the following is the major effect of glucocorticoids in asthma?
1. anti-inflammatory
2. bronchodilatory
3. sedative
4. mucus dissolving

Correct answer: 1. anti-inflammatory

Explanation: Glucocorticoids are not bronchodilators, and their major use is in reducing airway inflammation. It is difficult to provide precise recommendations for their use, and a wide range of systemic and inhaled doses are used.